Muscle not included in Anterior compartment of thigh
1. lliacus
2. Sartorius
3. Gracilis
4. Rectus femoris

Correct answer: 3. Gracilis

Explanation: Gracilis is a muscle of Medial compartment